Branchial cyst develops from-
1. 2nd branchial cleft
2. Is brachial arch
3. IIP arch
4. IV1h arch

Correct answer: 1. 2nd branchial cleft

Explanation: Ans. is 'a' i.e., 2nd branchial cleft o Remnants of second branchial cleft are most common and are usually found in viscinity of anterior border of sternocleidomastoid.